In thyroglossal cyst, carcinoma which arises is
1. Follicular
2. Medullary
3. Papillary
4. Anaplastic

Correct answer: 3. Papillary

Explanation: Ans :C.), Papillary. Thyroglossal duct cysts are usually located in the midline of the neck. The coexistence of carcinomas in thyroglossal duct cysts is extremely rare, with most being papillary carcinomas. The definitive surgery of Thyroglossal Cyst is Sistrunk's operation. There is still controversy regarding the need to remove the thyroid gland in the case of a papillary carcinoma of the Thyroglossal Duct Cyst. Thyroidectomy is recommended in cases where (a) the thyroid gland is found to be nodular, with a cold nodule in a thyroid iodine uptake scan; (b) enlarged lymph nodes are present, or (c) a history of neck irradiation exists .